Claw sign on x-ray is seen in?
1. Ischemic colitis
2. Intussusception
3. Sigmoid volvulus
4. Crohn's disease

Correct answer: 2. Intussusception

Explanation: Ans BClaw signQ is seen in Intussuception. It is the appearance of dilated loop of bowel which appears like a claw of a bird. It is described in both plain abdominal films as well as on barium studies